Sialosis refers to:
1. Bilateral parotitis
2. Sjogren's syndrome
3. Non-inflammatory parotid enlargement
4. Bilateral salivary duct ectasia

Correct answer: 3. Non-inflammatory parotid enlargement

Explanation: Ans. (c) Noninflammatory parotid enlargementRef: Bailey 25/e p766* Sialosis is noninflammatory, nonneoplastic and nonpainful-bilateral enlargement of major salivary glands.